Nicotinic acid is useful in all types of hyperlipoproteinemias, EXCEPT:
1. Type-I
2. Type-II
3. Type-Ill
4. Type-IV

Correct answer: 1. Type-I

Explanation: Niacin is a drug (Vitamin B3) that causes a decrease in LDL cholestrol, VLDL and triglycerides along with an increase in HDL cholesterol. It acts by inhibiting lipolysis in the adipose tissue. Further, it can also decrease lipoprotein(a) and fibrinogen. It is useful for type IIb, III and IV hyperlipoprotein disorders. Also Know: Niacin is the best agent available for increasing HDL-C (30-40%). In patients with diabetes mellitus, niacin should be used cautiously because niacin-induced insulin resistance can cause severe hyperglycemia. Niacin also elevates uric acid levels and may reactivate gout. A history of gout is a relative contraindication for niacin use. Ref: Bersot T.P. (2011). Chapter 31. Drug Therapy for Hypercholesterolemia and Dyslipidemia. In L.L. Brunton, B.A. Chabner, B.C. Knollmann (Eds), Goodman & Gilman's The Pharmacological Basis of Therapeutics, 12e